Which of the following fungi is/are difficult to isolate culture -
1. Candida
2. Dermatophytes
3. Cryptococcus
4. Malassezia furfur

Correct answer: 4. Malassezia furfur

Explanation: Malassezia furfur does not grow on regular sabouraud's medium.
It requires complex media to grow
M. furfur is a lipid-dependent fungus and 1% emulsified olive oil is added to sabouraud medium for its cultivation
Two media are now widely employed for all Malassezia species.


Dixon medium
Modified Dixon medium